All are adverse effects of phenytoin except
1. Hypertrophy of gums
2. Hirsutism
3. Hypertension
4. Hypersensitivity

Correct answer: 3. Hypertension

Explanation: Ans. is 'c' i.e., Hypertension Adverse effect of phenytoin|||At therapeutic levelAt high plasma level (dose related)(a) Hypertrophy of gum -commonest in 20%(a) Cerebellar and vestibular manifestation(b) Hirsutism, coarsening of facial features* Ataxia(c) Hypocalcemia* Vertigo(d) Hypersensitivity reactions, these include -* Diplopia* Rashes* Nystagmus* DLE(b) Epigastric pain, vomiting, nausea* Lymphadenopathy(c) I.V. Injection causes local vascular injury* Neutropenia(e) Hyperglycemia- it inhibits release of insulin(d) Fall in B.P. and cardiac arrythmias(f) Hydantoin syndrome- (fetal)(e) Drowsiness & mental confusions(g) Megaloblastic anemia